The only excitatory neuron in the cerebellar cortex is
1. Purkinje cell
2. Basket cell
3. Golgi cell
4. Granular cell

Correct answer: 4. Granular cell

Explanation: Granular cells are the only excitatory cells of cerebral cortex, use glutamate as neurotransmitter, their axons from parallel fibres Ref: Ganong 25th ed/page 248